An antiepileptic drug 'A' can also be used for the treatment of postherpetic neuralgia and pain due to diabetic neuropathy. Which of the following can be the agent 'A'?
1. Carbamazepine
2. Gabapentin
3. Lamotrigine
4. Primidone

Correct answer: 2. Gabapentin

Explanation: Gabapentin and progabide act by increasing the release of GABA. Gabapentin is the drug of choice for post-herpetic neuralgia and diabetic neuropathy.